Maximum benefit of electroconvulsive therapy is in
1. Hysteria
2. Chronic schizophrenia
3. Depression with suicidal tendency
4. Mania

Correct answer: 3. Depression with suicidal tendency

Explanation: Most important and most common indication for ECT is severe depression with suicidal risk. Indications of ECT
1. Severe depression with suicidal risk or with psychotic features or with stupor.
2. Some types of schizophrenia (catatonic or paranoid)
3. Schizophrenic or depressive stupor
4. Severe catatonia with stupor
5. Severe psychoses (schizophrenia or mania) with the risk of suicide or homicide or physical assault.